Caries, all are true except:
1. Lactobacillus is main causative organism in plaque
2. bsmooth surface caries occur due to streptococcus mutans
3. Pit and Fissure caries can be prevented by using pit and tissue sealants
4. Fluorides help in reducing caries incidence

Correct answer: 1. Lactobacillus is main causative organism in plaque